In which of the following, a 'coeur en sabot'/ boot shaped heart is seen:
1. Tricuspid atresia
2. Ventricular septal defect
3. Transposition of great arteries
4. Tetralogy of Fallo

Correct answer: 4. Tetralogy of Fallo

Explanation: Ans. D: Tetralogy of Fallot The X-ray in TOF shows a normal sized heart with upturned apex, suggestive of right ventricular hypertrophy The absence of main pulmonary artery segment gives the shape described as cor-en-sabot Remember: Boot shaped heart: Fallot's tetralogy Egg on side heart/ Apple on a string: Transposition of great arteries Snowman heart: Total anomalous pulmonary venous connection (TAPVC) Double shadow: Mitral stenosis Water lily sign: Hydatid cyst Pulmonary oligemia, cardiomegaly: Ebsteins anomaly